Inferior thyroid artery arises from :
1. 1st part of subclavian artery
2. Thyrocervical trunk of 1st part of subclavian artery
3. 3rd part of subclavian artery
4. Int. carotid artery

Correct answer: 2. Thyrocervical trunk of 1st part of subclavian artery

Explanation: B i.e. Thyrocervical Trunk of 1't part of subclavian artery